Tumor marker for papillary carcinoma of thyroid is ?
1. Calcitonin
2. Thyroglobulin
3. Chromogranin A
4. Tyrosinase

Correct answer: 2. Thyroglobulin

Explanation: Thyroglobulin is a glycoprotein specific to the follicular cell, facilitates the conversion of MIT and DIT into T3 and T4. Measurement of peripheral thyroglobulin has predictive value for the recurrence of DTC (differentiated thyroid cancers) locally or in metastatic deposits after initial total thyroidectomy Source : Sabiston 20th edition Pg : 886